Fastest to slowest route of absorption of local anaesthetic is?
1. Tracheal >Lumbar epidural > Intercostal block > Subcutaneous.
2. Tracheal > Intercostal block > Lumbar epidural > Subcutaneous.
3. Subcutaneous> Intercostal block > Lumbar epidural >Tracheal.
4. Lumbar epidural > Intercostal block >Tracheal > Subcutaneous.

Correct answer: 2. Tracheal > Intercostal block > Lumbar epidural > Subcutaneous.

Explanation: According, the rate of systemic absorption is greatest with intercostal nerve blocks followed by caudal, lumbar epidural, brachial plexus block femoral and sciatic nerve blocks. Sequence of systemic absorption IV > Tracheal > Intercostal block > Para cervical block > Caudal > Lumbar epidural > Brachial Plexus > Sciatic > Subcutaneous.